Face to pubis delivery occurs in which position?
1. Occipito sacral
2. Mentoanterior
3. Mentoposterior
4. Brow presentation

Correct answer: 1. Occipito sacral

Explanation: Face to pubis delivery is done in occipito posterior position head rotates posteriorly and becomes direct occipito posterior position